Glands of Zeis are:
1. Modified sebaceous glands
2. Modified sweat glands
3. Modified lacrimal glands
4. Modified meibomian glands

Correct answer: 1. Modified sebaceous glands

Explanation: Ans. Modified sebaceous glands